A two–year child is classified as having pneumonia, if the respiratory rate is more than –
1. 30/min
2. 40/min
3. 50/min
4. 60/min

Correct answer: 2. 40/min